Minimum urinary output required to excerete end products of protein metabolism is
1. 200 mL\/24 hours
2. 300 mL\/24 hours
3. 400 mL\/24 hours
4. 500 mL\/24 hours

Correct answer: 3. 400 mL\/24 hours

Explanation: The normal urine output is approximately 1500 mL/ day and, provided that the kidneys are healthy . A minimum urine output of 400 mL/day is required to excrete the end products of protein metabolism. Bailey and Love 26th edition Pg : 263